Which of the following anticholinergic is used for peptic ulcer disease
1. Dicyclomine
2. Methacoline
3. Pirenzepine
4. Aclidinium

Correct answer: 3. Pirenzepine

Explanation: Pirenzepine is a M1 receptor antagonist.
Acetyl choline acts on M1 receptors present on gastric glands to increase acid secretion and Pirenzepine is used to treat peptic ulcer disease by blocking these receptors.